Most common cause of pulp pathology is:
1. Microbes
2. Trauma
3. Leakage from filling materials
4. Pressure sensation from condensation of filling materials

Correct answer: 1. Microbes